The size of Microsatellite repeat sequence is:
1. <1 kb
2. 2-6 bp
3. 1-3 kb
4. >3 kb

Correct answer: 2. 2-6 bp

Explanation: Ans: b. 2-6 bpsequences of 2-5 bp repeated up to 50 times. May occur at 50000-100000 locations in the genome"-Harper 30th/377-78, 28th/404Short (2-6 bp), inherited, tandem repeat units of DNA occur about 50,000-100,000 times in the human genome.Because they occur more frequently--and in the view of the routine application of sensitive PCR methods--they are replacing RFLPs as the marker loci for various genome searches.